The term dilaceration refers to
1. A deformity of a tooth consisting of a sharp bend in the root
2. Abrasions on two surfaces of a single tooth
3. A root or tooth that is split into two
4. A tooth that is fractured at two or more places

Correct answer: 1. A deformity of a tooth consisting of a sharp bend in the root